RET proto-oncogene is associated with
1. MEN1
2. Medullary carcinoma of thyroid
3. Small cell carcinoma lung
4. Melanoma

Correct answer: 2. Medullary carcinoma of thyroid